HLA HI gene codes for -
1. Immunological reaction in graft rejection
2. Complement
3. Graft versus host reaction
4. Immunoglobulins

Correct answer: 2. Complement

Explanation: Ans. is 'b' i.e., Complement